The 2010 AHA Guidelines for CPR during Basic Life Support Recommend:
1. Airway - Breathing - Compression (A-B-C)
2. Compression - Breathing- Airway ( C-B-A)
3. Compression- Airway - Breathing (C-A-B)
4. Breathing - Airway - Compression (B -A-C )

Correct answer: 3. Compression- Airway - Breathing (C-A-B)

Explanation: Answer is C (Compression- Airway - Breathing (C-A-B) The major Highlight of the 2010 AHA Guidelines for CPR is the Change from "A-B-C" to "C-A-B" The newest development in the 2010 AHA Guidelines for CPR and ECC is a change in the basic life support (BLS) sequence of steps from "A-B-C- (Airway, Breathing, Chest compressions) to "C-A-B" (Chest compressions, Airway, Breathing) for adults and paediatric patients (children and infants, excluding new-born) Summary of Key BLS Components for Adults, Children, and Infants (Excluding the new-born, in whom the etiology of an arrest is nearly always asphyxia) Recommendations Component Adults Children Infants Unresponsive (for all ages) Recognition No breathing or no normal breathing (i.e. Only gasping ) No breathing or only gasping No pulse palpated within 10 seconds for all ages (HCP only) CPR sequence C-A-B Compression rate At least 100/min Compression depth At least 2 inches (5cm) At least 1/3 AP diameter About 2 inches (5cm) At least 1/3 AP diameter About 1 '/2 inches (4cm ) Chest wall recoil Allow complete recoil between compressions HCP s rotate compressors every 2minutes Compression interruptions Minimize interruptions in chest compressions Attempt to limit interruptions to < 10 seconds Airway Head tilt- chin lift (If HCP suspects trauma use Jaw Thrust) Compression-to -ventilation ratio (until advanced airway placed) 3:2 1 or 2 rescuers 30;2 Single rescuer 15:2 21-1CP rescuers Ventilations; when rescuer untrained or trained and not proficient Compressions only Ventilations with advanced airway (HCP) 1 breath every 6-8 seconds (8-10 breaths/min) Asynchronous with chest compressions about 1 second per breath visible chest rise Defibrillation Attach and use AED as soon as available. Minimize interruptions in chest compressions before and after shock; Resume CPR beginning with compressions immediately after each shock. AED, automated external defibrillator; AP. Anterior-posterior; CPR, cardiopulmonary resuscitation; HCP. healthcare provider. .